The yeast which shows thick gelatinous capsule and positive for mucicarmine is
1. Cryptococcus neoformans
2. Histoplasmosis
3. Blastomycosis
4. Paracoccidiomycosis

Correct answer: 1. Cryptococcus neoformans